If a Mandibular canine has bifurcated roots, they are most commonly placed:
1. Mesial and distal
2. Facial and lingual
3. Mesiobuccal and distobuccal
4. Mesiolingual and distolingual

Correct answer: 2. Facial and lingual